The carpal bone which ossifies in the second month
1. Lunate
2. Hamate
3. Scaphoid
4. Capitate

Correct answer: 4. Capitate

Explanation: (Refer: Rajesh Bardale - Principles of Forensic medicine & Toxicology, 1st edition, pg no: 61)
Appearance of Ossification centers in Carpal bones